The basement membrane that separates the enamel organ and the dental papilla just prior to dentin formation is called as:
1. Stellate reticulum.
2. Outer enamel epithelium.
3. Membrana preformativa.
4. Inner enamel epithelium.

Correct answer: 3. Membrana preformativa.

Explanation: The basement membrane that separates the enamel organ and the dental papilla just prior to dentin formation is called the membrana preformativa.